Differentiating feature of female pelvis is -a) Subpubic angle V shapedb) Subpubic angle U shaped and obtusec) Pre auricular sulcus is prominentd) Ischial tuberosity is everted and obturator foramen is large and ovale) Ischial tuberosity is everted and obturator foramen small and triangular
1. bce
2. bc
3. acd
4. ace

Correct answer: 1. bce

Explanation: Subpubic angle in females is U shaped, rounded and obtuse (90-100o).
Preauricular sulcus is more frequent, broad and deep in female pelvis. 
In female pelvis, ischial tuberosity is everted and obturator foramen is small triangular.